Neuropsychiatric side effect is a manifestation of ?
1. Ethosuximide
2. Cycloserine
3. Pyrazinamide
4. Rifampicin

Correct answer: 2. Cycloserine

Explanation: Ans. is 'b' i.e., Cycloserine